Falanga is -
1. Suspension by wrist
2. Beating of feet
3. Placing electric wires in vagina
4. Clamping of thighs between bamboos

Correct answer: 2. Beating of feet

Explanation: Ans. is 'b' i.e., Beating of feet * Beating may be of following types -i) Falanga (Falolka/Baatinada) : Beating of soles of feet with blunt object.ii) Telefono : Simultaneous beating of both ears with palms.iii) Quirofana : Beating on abdomen while upper half of body lying unsupported on table.